Which among the following is NOT a cause of calcification in anterior mediastinal mass?
1. Lymphoma after radiotherapy
2. Aneurysm of ascending aorta
3. Germ cell tumor
4. Leiomyoma of esophagus

Correct answer: 4. Leiomyoma of esophagus

Explanation: Ans: D Posterior mediastinum contents Mnemonic: DATES -- Descending aorta. Azygous vein and hemiazygos vein, Thoracic duct, Esophagus, Sympathetic trunk/ganglia.